The enzyme phosphofructo kinase-1 is strongly activated by
1. Cyclic AMP
2. Adenosine tri phosphate
3. Citrate
4. Fructose 2,6 bis phosphate

Correct answer: 4. Fructose 2,6 bis phosphate